Bullous skin lesions with `intraepidermal split' is feature of –
1. Pemphigus vulgaris
2. Pemphigoid
3. Epidermolysis bullosa
4. All

Correct answer: 1. Pemphigus vulgaris